Long term side effect of glucocorticosteroids:
1. Hepatotoxicity
2. Osteoporosis
3. Precocious puberty
4. Lupus like syndrome

Correct answer: 2. Osteoporosis

Explanation: Ans. B. OsteoporosisGlucocorticosteroid have many side effects like Cushing syndrome hyperglycemia, osteoporosis, delay in wound healing, increase in infection and many other.